Which of the following statements regarding disinfectant is not true -
1. Hypochlorites are bactericidal and inactivated by organic matter
2. Glutaraldehyde is sporicidal and not inactivated by organic matter
3. Formaldehyde is bactericidal, sporicidal and virucidal
4. Phenol is bactericidal and readily inactivated by organic matter

Correct answer: 4. Phenol is bactericidal and readily inactivated by organic matter

Explanation: Phenolic compounds are bactericidal or bacteriostatic and some are fungicidal also. They act by denaturing proteins and disrupting cell membranes. They are effective in the presence of organic material and remain active on surfaces long after application.